Stapedial reflex is mediated by
1. V and VII nerves
2. V and VIII nerves
3. VII and VI nerves
4. VII and VIII nerves

Correct answer: 4. VII and VIII nerves

Explanation: Stapedial reflex: Afferent : Vestibulo-cochlear N. Efferent: Facial N. Note: A person who feigns total deafness and does not give any response on pure tone audiometry but shows a positive stapedial reflex is a malingerer. Ref: Dhingra; 6th Edition; pg no 24